The post-operative quality of life (QOL) scores of 200 prostate cancer patients has a mean of 60 and a standard deviation of 10. How many patients are expected to have a QOL score between 40 and 80?
1. 190
2. 136
3. 120
4. 140

Correct answer: 1. 190

Explanation: The values enclosed in a normal distribution curve are: